What is the drug of choice for treatment of febrile seizures?
1. Diazepam
2. Phenobarbitone
3. Valproate
4. Carbamazepine

Correct answer: 1. Diazepam

Explanation: Ans. is 'a' i.e., Diazepam Treatment of febrile seizureso Prompt reduction of temperature by hydrotherapy (sponging) and antipyretics (paracetamole, ibuprofen) is the most important measure. If seizures lasts for more than 5 minutes, diazepam (rectal or IV) is the anticonvulsant of choice.o Phenoharbitone is an alternative.o For prophylaxis (prevention of recurrence) of febrile seizures, intermittent prophylaxis is used and the drug of choice is oral (or rectal) diazepamor other benzodiazepenes.o In failed intermittent prophylaxis, continuous prophylaxis is indicated by sodium valproate or phenoharbitone. Carbatnazepine and phenytoin are ineffective for prophylaxiso Measures to lower temperature like sponging and antipyretics (paracetamol) have no role oin prophylaxis